Which of the following is bone forming malignant tumor
1. Osteoid osteoma
2. Osteosarcoma
3. Chondroblastoma
4. Giant cell tumor

Correct answer: 2. Osteosarcoma

Explanation: Bone forming malignant tumor is Osteosarcoma Refer Adams Outline of orthopedics 14th, /e p 113